An association of which of the following bacteria has been suggested with atherosclerosis:
1. Staphylococcus Aureus
2. Streptococcus Pneumoniae
3. Chlamydia Pneumoniae
4. Aspergillus Fumigatus

Correct answer: 3. Chlamydia Pneumoniae

Explanation: Evidence for Chlamydia Pneumoniae thus far presents the strongest association with human atherosclerosis.